All of the following are true for retinopathy of prematurity except:
1. Occurs in premature infants due to late crying
2. Due to hypoxia there occurs neovascularization followed by fibroproliferation
3. End result is bilateral blindness
4. Blindness can be prevented by early diagnosis and ablation of vascular premature retina with cryotherapy or photocoagulation

Correct answer: 1. Occurs in premature infants due to late crying

Explanation: Ans. Occurs in premature infants due to late crying